. If blood gas analysis reveal pH = 7.52, pCO2=3O; pO2= 105.This will be compensated by?
1. Compensatory respiratory acidosis
2. Compensatory respiratory alkalosis
3. Compensatory metabolic acidosis
4. Compensatory metabolic alkalosis

Correct answer: 3. Compensatory metabolic acidosis

Explanation: As a compensatory mechanism, metabolic acidosis leads to alveolar hyperventilation with a fall in PaCO2. Normally, PaCO2 falls by 1-1.3 mm Hg for every 1-mEq/L fall in serum HCO3- concentration, a compensatory response that can occur fairly quickly Ref Davidson 23rd edition pg 345